A 45 year old lorry driver from Bihar presented with multiple necrotic ulcer which are painful on the penis. Tender inguinal lyphadenopathy was also present. What is the diagnosis ?
1. H. ducreyi
2. Herpes simplex
3. Syphilis
4. Chlamydia infection

Correct answer: 1. H. ducreyi

Explanation: Chancroid is a sexually transmitted infectious disease characterized by painful genital ulcers, bubo formation, and painful inguinal lymphadenopathy. The causative organism is Haemophilus ducreyi. It is a gram-negative, fastidious, facultative, anaerobic coccobacillus. It is usually located in the extracellular spaces and is strictly a human pathogen.